Highest concentration of iodine is found in:
1. Eggs
2. Fresh water fish
3. Oyster
4. Poultry

Correct answer: 3. Oyster

Explanation: Fresh water fish do not contain iodine but sea fish do. Highest amount of iodine is found in lobsters and oysters. Ref: Park, 22nd edition pg: 584